The following is usually the first sign of puberty in girls -
1. Onset of menstruation
2. Appearance of pubic hair
3. Change in voice
4. Increase in breast size

Correct answer: 4. Increase in breast size

Explanation: Ans. is 'd' i.e., Increase in breast size